Youngs surgery is done for the treatment of ?
1. Atrophic rhinitis
2. Rhinoscleroma
3. Deviated nasal septum
4. Choanal atresia

Correct answer: 1. Atrophic rhinitis

Explanation: Ans. is 'a' i.e., Atrophic rhinitis Surgical treatment of Atrophic rhinitis 1) Young's operation 2) Modified Young's operation 3) Narrowing of the nasal cavity by (Lautenslagers operation) ? 4) Lautenslagers operation